A patient develops acute respiratory distress, stridor, hyperinflation on one side of chest with decreased breath sound on that side. The most likely cause is -
1. Asthma
2. Aspiration pneumonia
3. Foreign body aspiration
4. Pleural effusion

Correct answer: 3. Foreign body aspiration